All of the following are histological features of Hashimoto thyroiditis, except:
1. Lymphocytic infiltrate with germinal center formation
2. Follicular destruction and atrophy
3. Hurthle cell metaplasia
4. Orphan Annie eye nuclei

Correct answer: 4. Orphan Annie eye nuclei

Explanation: All of the above histological features are of Hashimoto thyroiditis except Orphan Annie eye nuclei - It is seen in papillary carcinoma of thyroid. Hashimoto thyroiditis: Autoimmune disease that is caused by immune response to thyroid autoantigens. Painless enlargement of the thyroid often in middle age women M/C cause of hypothyroidism in iodine sufficient areas Increased risk for the development of B-cell malignancy - marginal zone lymphomas. Infiltrates of lymphocytes with germinal center formation, follicular damage present. Thyroid follicles are atrophic and are lined in many areas by Hurthle cells (pink granular eosinophilic cytoplasm, oncocytic metaplasia).